Which of the following is associated with cystic disease in kidney?
1. Fibrocystin
2. Polycystin-1
3. Polycystin-2
4. All of the above

Correct answer: 4. All of the above

Explanation: Autosomal dominant polycystic kidney disease is caused by mutations in: The PKD1 gene encodes a large (460-kD) integral membrane protein named polycystin-1 The PKD2 gene product polycystin-2 Autosomal recessive kidney disease is caused due to mutation in PKHD1 gene coding for fibrocystin. Ref: Robbins 8th edition Chapter 20.